Inverted Champaign bottle muscle atrophy occurs in:
1. Peroneal muscular atrophy
2. Duchenne's muscular dystrophy
3. Progressive muscular atrophy
4. Amyotrophic lateral stenosis

Correct answer: 1. Peroneal muscular atrophy

Explanation: Answer is A (Peroneal muscular Atrophy): Inverted champagne bottle appearance of lower limbs is produced as a result of greater wasting of distal musculature in comparison to proximal musculature. Charcoal Movie Tooth disease (CMT) or peroneal muscular Atrophy (Synonym for CMT) is classically associated with an inverted champagne bottle appearance of lower limbs